A 65 year old  smokes presents with right Inguinal mass, He complains of recent difficulty with micturation and nocturia. The swelling which does not extend to the scrotum,reduce when resting.what is the likely diagnosis.
1. Direct Inguinal hernia
2. Strangulated indirect inguinal hernia
3. Hydrocele
4. Cyst of the cord

Correct answer: 1. Direct Inguinal hernia